Depression is seen ina) Hyperthyroidismb) Hypoglycemiac) Adrenal disorderd) Pheochromocytoma
1. ac
2. bc
3. ad
4. b

Correct answer: 1. ac

Explanation: Endocrinological disorders causing major depression are :-

Thyroid :- Hypothyroidism, Hyperthyroidism
Adrenal :- Cushing's disease, Addison's disease
Parathyroid :- Hyperparathyroidism, hypoparathyroidism
Pituitary :- Hypopituitarism, Acromegaly, Hyperprolactinemia